Which of the following ATI receptor blocker ?
1. Spironolactone
2. Losartan
3. Captopril
4. None

Correct answer: 2. Losartan

Explanation: Ans. is 'b' i.e., Losartan